Cysticercous cellulose is seen in infection with:
1. T. solium
2. T. saginata
3. Echinococcus granulosus
4. None of the above

Correct answer: 1. T. solium

Explanation: T. solium